Wire loop lesions are often characteristic for the following class of lupus nephritis:
1. Mesangial proliferative glomerulonephritis(WHO class II)
2. Focal proliferative glomerulonephritis (WHO class III)
3. Diffuse proliferative glomerulonephritis (WHO class IV)
4. Membranous glomerulonephritis (WHO class V)

Correct answer: 3. Diffuse proliferative glomerulonephritis (WHO class IV)

Explanation: Answer is C (Diffuse Proliferative Glomerutonephritis) Wire loop lesions are most charachteristic of diffuse proliferative glomerulonephritis (Class IV WHO) but may also be seen in focal proliferative glomerulonephritis (Class III WHO). Most characteristic of: Lupus Nephritis Class IV (Diffuse Lupus Nephritis) Also seen in: Lupus Nephritis Class III (Focal) > Lupus Nephritis Class V (Membranous)